The following are discussion methods under group approach to health communication Except
1. Seminar
2. Role play
3. Demonstrations
4. Group discussion

Correct answer: 3. Demonstrations

Explanation: Lectures and demonstrations are one-way approaches.Discussion methods include Group discussion. Panel discussion, Symposium, workshop, conferences, Seminars, RoleplayPark 23e: Health education